Extended spectrum beta lactamases (ESBLs) are characterized by activity against all except.
1. Penicillinases
2. Cephalosporinases
3. Oxyimino-cephalosporinases
4. Carbapenems

Correct answer: 4. Carbapenems

Explanation: Ans. (D) Carbapenems(Ref: Katzung 10/e p739)Carbapenems like imipenem are the only beta lactams reliably efficacious against ESBL producing bacteria.